Which of the following does not occur in addison's disease?
1. Hyperpigmentation
2. Hyperglycemia
3. Weight loss
4. Hypotension

Correct answer: 2. Hyperglycemia

Explanation: In Addison's disease hypoglycemia occur not hyperglycemia.